Which of the following is not a feature of infantile colic syndrome
1. Vomiting
2. Paroxysmal symptoms
3. Abdominal pain
4. Continous severe cry

Correct answer: 1. Vomiting

Explanation: Other Colic Symptoms Clench her fists. Bend her arms and legs toward her belly. Have a bloated tummy. Have a red, flushed face when she cries. Pass gas while she sheds tears, often because she's swallowed air. Tighten her stomach muscles. Reference: GHAI Essential pediatrics, 8th edition